Inferior thyroid artery arises from which of these vessels
1. Thyrocervical trunk
2. Branchiocephalic trunk
3. Internal carotid artery
4. External carotid artery

Correct answer: 1. Thyrocervical trunk

Explanation: Inferior thyroid artery is a branch of the thyrocervical trunk which arises from the subclavian artery.Notes: It runs first upwards, then medially and finally downwards to reach the lower pole of the thyroid gland.Ref: BD Chaurasia; volume 3; 6th edition; pg 143